Drug of choice in the treatment of onchocerciasis is
1. DEC
2. Ivermectin
3. Ketoconazole
4. Cotrimoxazole

Correct answer: 2. Ivermectin

Explanation: (B) Ivermectin # Ivermectin, a semisynthetic macrocyclic lactone active against microfilariae, is the first-line agent for the treatment of onchocerc asis.> It is given orally in a single dose of 150 pg/kg, either yearly or semiannually.